All are associated with Wilm's tumor except: one:
1. Anirida
2. Male pseudohermaphrodite
3. Arthogryposis multiplex congenital
4. Hemihypertrophy

Correct answer: 3. Arthogryposis multiplex congenital

Explanation: Answer is C (Arthogryposis multiplex congenita): Arthrogryposis multiplex congenita is not associated with Wilm's tumor.